A fungicidal drug that can be used orally for the treatment of onychomycosis is:
1. Griseofulvin
2. Amphotericin B
3. Clotrimazole
4. Terbinafine

Correct answer: 4. Terbinafine

Explanation: Fungicidal drugs are amphotericin B and terbinafine. Out of these, amphotericin B cannot be given orally. Thus, the answer is terbinafine.